Key features of kangaroo mother care are all the following EXCEPT?
1. Skin to skin contact between mother and baby
2. Exclusive breast feeding
3. Initiated in a facility and continued at home
4. Done for babies with cyanosis

Correct answer: 4. Done for babies with cyanosis

Explanation: Ans. (d) Done for babies with cyanosisRef: OP Ghai 8th ed./148* Kangaroo care is a technique practiced on newborn, usually preterm, infants wherein the infant is held, skin- to-skin, with an adult.* The kangaroo position provides ready access to nourishment.* The parents stable body temperature helps to regulate the neonates temperature more smoothly than an incubator, and allows for readily accessible breastfeeding.* Babies who are eligible for kangaroo care include pre- term infants, weighing less than 1,500 grams, and breathing independently.* Cardiopulmonary monitoring, oximetry, supplemental oxygen or nasal (continuous positive airway pressure) ventilation, intravenous infusion, and monitor leads do not prevent kangaroo care.* Babies who are in kangaroo care tend to be less prone to apnea and bradycardia and have stabilization of oxygen needs.